Female sexual cycle can be best assessed by:
1. Cytology of endometrium
2. Fern test
3. Spinnbarkeit phenomenon
4. Sex steroid profile

Correct answer: 4. Sex steroid profile